The clinical feature of normal pressure hydrocephalus is
1. Aphasia
2. Ophthalmoplegia
3. Global confusion
4. Gait disturbance

Correct answer: 4. Gait disturbance

Explanation: (D) Gait disturbance # Causes Of Dementia# Normal-pressure hydrocephalus (NPH) is a relatively uncommon syndrome consisting of an abnormal gait (ataxic or apractic), dementia (usually mild to moderate), and urinary incontinence.> Historically, many individuals who have been treated as having NPH have suffered from other dementias, particularly AD, multi- infarct dementia, and DLB.> Neuroimaging findings in NPH are those of a communicating hydrocephalus with a patent aqueduct of Sylvius.> In many cases periventricular edema is present.> Lumbar puncture findings include an opening pressure in the high-normal range and normal CSF protein, sugar concentrations, and cell count.> NPH is presumed to be caused by obstruction to normal flow of CSF over the cerebral convexity and delayed absorption into the venous system.> Indolent nature of the process results in enlarged lateral ventricles but relatively little increase in CSF pressure.> There is presumably stretching and distortion of white matter tracts in the corona radiata, but the exact physiologic cause of the clinical syndrome is unclear.